One year old male child with cat\'s eye reflex and raised IOT –
1. Toxplasma gondii infection
2. Toxcara canis
3. Retinoblastoma
4. Retinopathy of prematurity

Correct answer: 3. Retinoblastoma

Explanation: Leukocoria with raised IOT is characteristic of retinoblastoma.